Antihelminthic which acts by flaccid paralysis of worms is-
1. Piperazine
2. Bephenium
3. Pyrantel
4. None

Correct answer: 1. Piperazine

Explanation: Ans. is 'a' i.e., Piperazine Piperazine o It causes hyperpolarization of ascaris muscle by a GABA agonistic action opening Cl-channels --> flaccid paralysis. o Piperazine safe and well tolerated drug, it is also safe in pregnancy. Remember o Drugs causing flaccid paralysis Ivermectin, piperazine. o Drugs causing spastic paralysis --> Pyrantel pamoate, levamisole.